In what maintenance dose can vitamin D be recommended in breast fed full term infants?
1. 200 IU daily
2. 400 IU daily
3. 800 IU daily
4. 1600 IU daily

Correct answer: 2. 400 IU daily

Explanation: Ans. B. 400IU/dayUsually breast feeding alone is recommended in the first 6 months of life in full term infants who are healthy and is a good source for various nutrients to the child in the first few months of life and helps them gain weight optimally. However, there is growing evidence that vitamin D deficiency is fairly rampant in India and neonates born to mothers who are vitamin D deficient also have vitamin D deficiency. These findings have prompted some clinicians to recommend vitamin D at a maintenance dose of 400IU/day in breast fed infants, especially those below 2.5kg to obviate the risk of vitamin D deficiency in them